Gastric lavage is contra-indicated in:
1. Salicylate poisoning
2. Kerosene poisoning
3. Morphine poisoning
4. Organophosphate poisoning

Correct answer: 2. Kerosene poisoning

Explanation: Treatment of kerosene poisoning: 1.immediately remove the victim from the source of poisoning and ensure the airway is open. 2.remove the contaminated clothing and thoroughly wash the skin. 3.If possible perform pulse oximetry and give supplemental oxygen if needed. Intubation and medical ventilation may be needed in a patient with severe hypoxia. 4.avoid gastric lavage because of the risk of inhalation and hence pneumonitis. If very large amounts of kerosene have been ingested less than an hour earlier then lavage may be considered. Ref KD Tripathi 8th ed